The following are features of gunshot Exit wound, except
1. Bigger than the entry wound
2. Everted edges
3. Protrusion of soft tissues
4. Singeing & smudging

Correct answer: 4. Singeing & smudging

Explanation: Singeing & Smudging are the features of entry wound; not exit wound. Character Entry wound Exit wound Size Smaller than the diameter of the bullet Larger Edges Inverted Everted` Abrasion collar and grease collar PresentQ AbsentQ Scorching, smudging & tattooing May be present Absent Bleeding Less MoreQ Fat extrusion Absent May be present Cherry red colour May be present Absent